Acculturation may take place by
1. Education
2. All
3. Trade and commerce
4. Industrialization

Correct answer: 2. All

Explanation: Sociology deals with the study of human relationships and of human behavior.